True about Lucio's phenomenon is?
1. Associated with tuberculoid leprosy
2. Occurs as side effect of treatment of leprosy
3. Ischemic necrosis
4. Also known as type 2 Lepra reaction

Correct answer: 3. Ischemic necrosis

Explanation: Ans. is 'c' i.e., ischemic necrosis(Ref: IADVL 3'd/e p. 2023,24)Lucio's phenomenon is seen in untreated cases of lepromatous leprosy.Lucio's phenomenon is seen in lepromatous leprosy (LL).It occurs in patients who are untreated.Patients develop recurrent crops of large sharply marginated, ulcerative lesions, particularly on lower extremities. It is due to heavy parasitism of endothelial cell, endothelial proliferation and thrombus formation which lead to ischemic necrosis.